True about internal ear anatomy
1. Three semicircular canals here 6 openings into the vestibule
2. The angle between anterior & posterior SCC is 180deg
3. Vestible is the central chamber
4. Spiral canal makes 2 turns

Correct answer: 3. Vestible is the central chamber

Explanation: C i.e. Vestible is the central chamber